Waterhouse-Friderichsen syndrome is caused by
1. Neisseria
2. Chlamydia
3. Hemophilus influenza type b
4. Listeria

Correct answer: 1. Neisseria

Explanation: Meningococcemia sometimes occurs without meningitis and may progress to fulminant DIC and shock with bilateral hemorrhagic destruction of the adrenal glands (Waterhouse-Friderichsen syndrome).Ref: Sherris microbiology; 6th edition; Page no: 540